Fracture of which of the following bone causes leakage of cerebrospinal fluid through ear ?
1. Mastoid process
2. Petrous temporal
3. Ethmoid plate
4. Cribriform plate

Correct answer: 2. Petrous temporal

Explanation: Ans. is `b' i.e., Petrous temporal CSF otorrhea CSF otorrhea, i.e., leakage of cerebrospinal fluid through ear structure, is a rare but potentially life threatening situation that requires rapid intervention. The underlying etiology of spinal fluid leak through temporal bone is a violation of the bony and meningeal barriers that separate the subarachoid space from the middle ear and mastoid. This means that a defect must exist not only in the bone, but also in the dura matter. Causes of CSF otorrhea are : ? 1. Congenital:- Defect in otic capsule. 2. Acquired:- More common than congenital and cause are : - Surgery:- Post-operative leakage is the most common cause of CSF otorrhea. Surgical causes are acoustic neuroma removal, skull base surgeries and sometimes mastoid surgery. Trauma:- Fracture of petrous part of temporal can lead to CSF otorrhea. Infection 3. Spontaneous:- It is without an obvious antecedent pathology. There may be some defect in the temporal bone.